Involved in Hereditary spherocytosis-a)  Spectrinb)  Ankyrinc)  Pyrind)  Band 4.2e)  Actin
1. acd
2. abd
3. abc
4. ab

Correct answer: 2. abd

Explanation: Hereditary spherocytosis

Ankyrin (most common)       
Band 3 (protein 3 or Anion transport channel)
Spectrin                                       
Band 4.2